Boxer's haemorrhages are usually seen in:
1. Cerebrum
2. Cerebellum
3. Pons
4. Medulla

Correct answer: 3. Pons

Explanation: Ans. (C). Pons(Ref: Review of Forensic Medicine & toxicology; Gautum Biswas; 2nd edition; Pg- 239)Boxer's haemorrhage: Pontine haemorrhages in punch drunk syndromeBoxer's syndrome: Punch drunk syndromeBoxer's attitude: Pugilistic attitude in burnsBoxer's fracture: Transverse fracture of 5th metacarpal bone; Most common metacarpal fracture.